Dracunculiasis was more common in which of the following state?
1. Orissa
2. Tamil Nadu
3. Rajasthan
4. U.P.

Correct answer: 3. Rajasthan